Dennie morgan fold is seen in -
1. Eye lid
2. Ear
3. Mouth
4. Pharynx

Correct answer: 1. Eye lid

Explanation: Dennie’s line (Denny morgan fold) is an extra fold of skin beneath lower eyelid. It is characteristic of atopic dermatitis.

Clinical features of atopic dermatitis 
1. Itching is the primary and most characteristic symptom. Extremely itchy patches of skin develop.
In infant, these patches tend to develop on the face and extensors.
Teens and young adult are more likely to see patches on their elbow flexors (antecubital fossae),
knee flexors (popletial fossa) and wrist flexors.
2. Rash : This often appears after the itchy skin is scratched or rubbed.
3. Perpetual rubbing and scratchy leads to excoriation,
Lichenification, Dryness (Xeroderma) hyperlinear palms, Denny Morgan fold (extra fold of skin beneath lower eyelid).
4. There is increased tendency of vasoconstriction : -
a. Pallor on skin especially cheeks, i perioral pallor.
b. Running a blunt object (e.g., Key) on affected skin produces a white line → white dermatographism.
5. Associated conditions
i. Alopecia areata
ii. Susceptibility to skin infections particularly staph, aureus, warts & molluscum contagiosum.
iii. Antena sign - Follicular opening are filled with homy plugs.
iv. Head light sign - Cheilitis i.e., inflammation of skin on and around lips (perioral pallor).
v. Hertoghe’s sign - Thinning of lateral half of eyebrows.